A rubber industry worker presents with abdominal colic and severe anemi His blood examination reveals basophilic stippling of RBCs and microcytic anemi What is the likely diagnosis?
1. Radiation effects
2. Benzene poisoning
3. Lead poisoning
4. Sideroblastic anemia

Correct answer: 3. Lead poisoning